Relaxation of mesangial cells of kidney is brought about by ?
1. cAMP
2. Endothelin
3. PGF2
4. Vasopressin

Correct answer: 1. cAMP

Explanation: A i.e. C-Amp